Satellite nodule on a corneal ulcer is seen in
1. Fungal infection
2. Bacterial infection
3. Viral infection
4. Mycoplasma infection

Correct answer: 1. Fungal infection

Explanation: A i.e. Fungal infection Feature Found in Satellite lesion Fungal keratitis (corneal ulcer) C e.g. Aspergillus, Candida Sympathetic opthalmitis Q Dalen fuch's nodule, B/L granulomatous uveitis Dendritic & Geographic ulcer Herpes simplex Q Snow ball opacity in vitreous Pars planitis (intermediate uveitis), sarcoid Q, amyloid, candidiasis, lyme disease Fleischer ring, Munson's sign, Vogt lines, Oil droplet reflex Keratoconus Q Invasion of normal corneal epithelium N. gonorrhoea & Corynebacterium diptheria Q Horner Trantas dots, Cobble stone (pavement stone) papillary hypertrophy, no follicles, shield ulcer, Maxwell lyon sign (sting or ropy discharge) Spring catarrh Herbert's pit, Arlt's line, papillary hyperplasia, follicles, pannus, SAFE treatment strategy Trachoma Habb's striae, lens anteroposteriorly flattened & displaced Q Bupthalmos